Who gave the concept of "Clean tooth never Decays"?
1. Pierre fauchard
2. Leon Williams
3. Rihanna
4. Dean

Correct answer: 2. Leon Williams